Derivative of vitelline vein?
1. IVC
2. SVC
3. Ligamentum venosum
4. Ligamentum teres

Correct answer: 1. IVC

Explanation: Ans. is 'a' i.e., IVC